Sulfur of cysteineare not used/ utilized in the body for the following process/product-
1. Help in the conversion of cyanide to thiocyanate
2. Thiosulfate formation
3. Introduction of sulphur in methionine
4. Disulfide bond formation between two adjacent peptide.

Correct answer: 3. Introduction of sulphur in methionine

Explanation: Methionine is an essential amino acid, so it cannot besynthesized from Cysteine.- But Sulfur of cysteine is donated by sulfur ofmethionine.- This is called transsulfuration reaction.- PLP is the coenzyme of transrulfuration.- The reaction is catalyzed by Cystathionine betaSynthase and Cystathionase enzyme